A child presents with hypovolemic shock, anuria and respiratory acidosis, treatment is:
1. RL
2. Dopamine
3. Dobutamine
4. Inj. Sodium Bicarbonate

Correct answer: 1. RL

Explanation: a. RL(Ref: Nelson's 20/e p 517, Ghai 8/e p 715-718)Initial resuscitation of any child with shock consists of Pushing IV fluid boluses (RL or NS) of 20mL/kg up to 60mL/kg until perfusion improves or unless rales or hepatomegaly develop; Next step is use of Inotropes like Dopamine.